Pleural tapping in mid axillary line, muscle not pierced is
1. Internal intercostals
2. External intercostals
3. Inner most intercostals
4. Transverses thoracic

Correct answer: 4. Transverses thoracic

Explanation: D i.e. Transversus thoracis